Which toxin acts by ADP ribosylation-
1. Botulinum toxin
2. Shiga toxin
3. V.cholerae toxin
4. All

Correct answer: 3. V.cholerae toxin

Explanation: Ans. is 'c' i.e., V. cholerae toxin